"Munro micro abscesses " are
1. Neutrophils seen in stratum.spinosum
2. Neutrophils seen in stratum.corneum
3. Atypical lymphocytes seen in  stratum.spinosum
4. Atypical lymphocytes seen in stratum.corneum

Correct answer: 2. Neutrophils seen in stratum.corneum

Explanation: "Munro micro abscesses " : neutrophils in stratum.corneum
Spongiform pustules of kogoj :  neutrophils in stratum.spinosum
Both are seen in psoriasis.
Pautrier's abscess : Atypical lymphocytes in stratum.spinosum -seen in Mycosis fungoides.